What is true about H. pylori-
1. Gram -ye Cocci curved
2. Gram +ve Cocci straight
3. Gram +ve bacilli curved
4. Gram -ye spiral bacteria

Correct answer: 4. Gram -ye spiral bacteria

Explanation: Ans. is 'd' i.e., Gram -ye spiral bacteria